Which Cranial nerve is most commonly affected in raised ICP?
1. III
2. IV
3. V
4. VI

Correct answer: 4. VI

Explanation: Ans. is 'd' i.e., VI Elevated intracranial pressureo Elevated intracranial pressure can result in downward displacement of the brainstem, causing stretching of the sixth cranial nerve which are tethered in Dorello's canal. Elevated intracranial pressure in children can occur secondary to a variety of different causes., including shunt failure, pseudotumor cerebri, posterior fossa tumors, neurosurgical trauma, venous sinus thrombosis, meningitis, or Lyme disease.